Branch of facial nerve in facial canal
1. Greater petrosal nerve
2. Nerve to Stapedius
3. Chordatympani
4. All

Correct answer: 4. All

Explanation: A. i.e. Greater petrosal nerve; C. i.e. Chorda tympani; B . i.e. N. to stapedius